Decidous roots which cannot be grasped with forceps are removed by using:
1. Potts elevator
2. Miller elevator
3. Warwick James elevator
4. Apex elevator

Correct answer: 3. Warwick James elevator

Explanation: The deciduous roots which cannot be grasped with forceps are displaced towards the permanent tooth with a Warwick James elevator using bony socket wall as the fulcrum.